Pitying testing for lower motor neuron lesion involving nucleus ambiguous; uvula
1. Is deviated to the affected side
2. Is deviated to the normal side
3. Remains in midline
4. Is not used in testing

Correct answer: 2. Is deviated to the normal side

Explanation: Answer- B. Is deviated to the normal sideIt is the column of cells running almost the entire length of medulla.Motor neurons in the nucleus ambiguous innervate the constrictor muscles of the pharynx, muscles of the velopharynx (such as constrictor veli palatine), intrinsic muscle of the larynx, and single muscle of the tongue.In case of unilateral lower motor neuron lesion, when the patient phonates the soft palate will raise asymmetrically, with higher elevation on the healthy side and the uvula pulled of the midline in the same direction i.e. it is deviated to the normal unaffected side.